Cofactor for glutathione peroxidase
1. Mg +2
2. Se
3. Mn +2
4. Ca +2

Correct answer: 2. Se

Explanation: Selenocysteine is abbreviated as SeCys. It is seen at the active site of the following enzymes: a) Thioredoxin reductase; b) Glutathione peroxidase, which scavenges peroxides; c) 5'- De-iodinase that removes iodine from thyroxine to make triiodothyronine and d) Selenoprotein P, a glycoprotein seen in mammalian blood. Replacement of SeCys by Cys will lead to decreased activity of these enzymes. Deficiency of some of these enzymes with the anti-oxidant function may be related to atherosclerosis. Concentration falls in selenium deficiency. Its structure is COOH-CHNH2-CH2-SeH. It is directly incorporated into proteins during the translation process. Biosynthesis of selenocysteine is by replacing the oxygen of serine by selenium; this is done by two steps: Se + ATP - Se-P + AMP + Pi Serine + Se-P - SeCys + Pi Its genetic code is UGA. The tRNA-Sec is the specific tRNA, inserting SeCys. However, normally UGA codon is a stop signal. UGA code for SeCys is identified by a SeCys insertion element in the mRNA, with the help of a specific elongation factor. The tRNA-Sec is first charged with serine, then it is converted into SeCys. This is then inserted into the correct position when protein is synthesized.Ref: DM Vasudevan, page no: 187